Which of the following can cause acute pane reatitis?
1. Abacavir
2. Lamivudine
3. Zidovudine
4. Didonosine

Correct answer: 4. Didonosine

Explanation: Ans. is 'd' i.e., Didonosine Antiretroviral drugs causing pancreatitis o Stavudine o Didanosine o Zalcitabine